The latest AHA2010 for CPCR in basic life support by two individuals for cardiac external massage & ventilation in an adult is-
1. 30-2
2. 15-1
3. 15-2
4. 30-l

Correct answer: 1. 30-2